Which type of neurological defect is seen in a fetus of diabetic mother ?
1. Caudal regression
2. Neural tube defect
3. Anencephaly
4. All of the above

Correct answer: 4. All of the above

Explanation: Major birth defects seen in infants of diabetic mothers: CNS & skeletal: Neural tube defects, anencephaly, microcephaly, sacral agenesis Cardiac: VSD, ASD, coarctation of aorta, transposition of great vessels, cardiomegaly Renal: Renal agenesis, hydronephrosis, ureteral duplication Gastrointestinal: Duodenal atresia, anorectal atresia Others: Single umbilical artery